Mizuo-phenomenon is seen in -
1. Fundus albipathicus
2. Fundus flavimaculatus
3. Oguchis disease
4. Choroideremia

Correct answer: 3. Oguchis disease

Explanation: Oguchi disease is characterized by a golden-brown fundus with a yellow-gray 'metallic' sheen in the light-adapted state. After complete dark adaptation (3 to 12 hours), the fundus appears normal, and this disappearance of the shiny, yellow, fundus reflex is called the Mizuo-Nakamura phenomenon.